Which of the following structures is least likely to be damaged during mandibular 3rd molar extraction
1. Lingual artery
2. Lingual nerve
3. Inferior alveolar nerve
4. Inferior alveolar artery

Correct answer: 1. Lingual artery